Rate limiting step in cholesterol synthesis is catalysed by which of the following enzyme?
1. HMG CoA synthetase
2. HMG CoA reductase
3. Thiokinase
4. Mevalonate kinase

Correct answer: 2. HMG CoA reductase

Explanation: Conversion of HMG CoA to mevalonate by HMG CoA reductase is the rate limiting step in the synthesis of cholesterol. Cholesterol is an allosteric inhibitor of HMG CoA reductase Statin drugs acts as competitive inhibitors with mevalonate for binding to HMG CoA reductase. Insulin favors the active form of HMG CoA reductase and increases cholesterol synthesis. Glucagon favours the inactive form and decreases cholesterol synthesis. Ref: Biochemistry By John W. Pelley, page 89.